Site of lesion affecting V, VI & VII cranial nerve
1. Midbrain
2. Pons
3. Medulla
4. All

Correct answer: 2. Pons

Explanation: B. i.e. Pons- 3rd & 4thQ cranial nerve attach to mid brain; 5th Q c.n. to pons; 6t1, 71), & gth Q to junction between pons & medulla; 9th, 10th, 11th, & 12th Q attach to medullaAcoustic neuroma is most common cerebellopontine angle tumorQ. 5th nerve is the earliest nerve to be involved.Q f/b gth, 9th, 10th, 6th, 7th etc.